A 28-year-old man came for shoulder surgery. The patient had a documented episode of malignant hyperthermia in a previous surgery under general anesthesia. Which of the following neuromuscular blockers is contraindicated in this patient
1. Succinylcholine
2. Pancuronium
3. Rocuronium
4. Vecuronium

Correct answer: 1. Succinylcholine

Explanation: Malignant hyperthermia is a life-threatening hypermetabolic dis order that is triggered by succinylcholine and the volatile inhaled anesthetics (isoflurane, desflurane, and sevoflurane). All triggering agents are contraindicated in patients with a history of malignant hyperthermia.